Protein content in F-75 milk formula -
1. 0-5 gm per 100 ml
2. 0-9 gm per 100 ml
3. 1-5 gm per 100 ml
4. 2 0 gm per 100 ml

Correct answer: 2. 0-9 gm per 100 ml

Explanation: Ans. is 4b' i.e., 0-9 gm per 100 ml Contents of F-75 milk based formulaContentQuantity (per 100 ml)Fresh Cow's milk30 mlSugar9 gmEnergy75 KcalProtein0-9 gmLactose1-2 gm